Depression is not a side effect of
1. Propanolol
2. Oral contraceptives
3. Reserpine
4. Flupenthixol

Correct answer: 4. Flupenthixol

Explanation: Answer is option4, flupenthisol. The antidepressive and anxiolytic efficacy of flupenthixol has been investigated in numerous controlled and open trials involving patients with endogenous, reactive as well as senile depressions. When administered at a mean daily single or multiple dose of 1-2 mg, flupenthixol proved to be a very effective and well-tolerated antidepressant. As opposed to some of the currently available antidepressants, flupenthixol has a rapid onset of action which is often displayed within the first 2-3 days following its application. Ref: